Which of the following statement is true about a hapten?
1. It induces brisk immune response
2. It needs carrier to induce immune response
3. It is a T-independent Antigen
4. It has no association with MHC

Correct answer: 2. It needs carrier to induce immune response

Explanation: A hapten is a molecule that is not immunogenic by itself but reacts with a specific antibody after being joined or combined with a suitable molecule called carrier. Ref: Immunology By William L. Anderson, Page 86-87